Oral foci of Miller's are seen in:
1. Herpes simplex.
2. Lichen planus.
3. Dental caries.
4. Syphilis.

Correct answer: 3. Dental caries.